Most common infections after splenectomy are
1. Capsulated bacteria
2. Uncapsulated bacteria
3. Gram positive sepsis
4. Gram negative bacteria

Correct answer: 1. Capsulated bacteria

Explanation: Opportunist post-splenectomy infection is caused by capsulated bacteria.Post-splenectomy septicaemia may result from Streptococcus pneumoniae, Neisseria meningitides, Haemophilus influenzae and Escherichia coli.Bailey and love 26th edition pg: 1096